Which of these is not a part of extracellular matrix -
1. Laminin
2. Fibronectin
3. Integrins
4. Collagen

Correct answer: 3. Integrins